B/L spider leg sign on IVP suggests
1. Renal stone
2. Polycystic kidney
3. Hypernephroma
4. Hydronephrosis

Correct answer: 2. Polycystic kidney

Explanation: B i.e. Polycystic Kidney